Venoocclusive disease of the liver is caused by:
1. Cyclophosphamide
2. Melphalan
3. Both
4. None

Correct answer: 3. Both

Explanation: Potential target for sinusoidal lining cells; when these are injured, such as by high-dose chemotherapeutic agents (e.g., cyclophosphamide, melphalan, busulfan) administered prior to bone marrow transplantation, venoocclusive disease can result. Reference: Harrisons Principles of Internal Medicine, 18th Edition, Page 2560